Preparation of class I cavities for dental amalgam, direct filling gold or gold inlays have in common
1. Occlusally diverging facial and lingual walls
2. Occlusally diverging mesial and distal walls
3. Occlusally converging facial and lingual walls
4. Occlusally converging mesial and distal walls

Correct answer: 2. Occlusally diverging mesial and distal walls